Which of the following is not a chronic myelopro liferative disorder
1. Polycythemia vera
2. Acute myeloid leukemia
3. CML
4. Essential thrombocytopenia

Correct answer: 2. Acute myeloid leukemia

Explanation: Example of mycloproliferative disorders

Polycythemia vera
1o myelofibrosis
Essential thrompocythemia
CML